Dofetilide is which class of antiarrhythmic drug ?
1. Class I
2. Class II
3. Class III
4. Class IV

Correct answer: 3. Class III